Resting membrane potential is determined by
1. Na+
2. K+
3. CI-
4. Mg++

Correct answer: 2. K+

Explanation: Resting membrane potential CellsResting membrane potentialSkeletal muscle -90 mVSmooth muscle -50 to -75 mVCardiac muscle -85 to -95 mVNerve fibre -70 mVRods -40 mVInner ear cell-60 mVResting Membrane Potential is due to K+ Resting membrane Potential is close to the isoelectric potential of Cl-IPSP is due to Cl- influxEPSP is due to the K+ influx (Refer: Ganong's Review of Medical Physiology 24thedition, pg no: 87-89)